Population coverage of primary health center
1. 20,000 in plain area
2. 10,000 in tribal area
3. 30,000 in tribal area
4. 30,000 in plain area

Correct answer: 4. 30,000 in plain area